Ophitoxaemia refers to poisoning due to ?
1. Scorpion bite
2. Snake bite
3. Bee sting
4. Dog bite

Correct answer: 2. Snake bite

Explanation: Ans. is 'b' i.e., Snake bite Ophitoxemia is poisoning by snake venom.